A 20 year old young female had history of recurrent acne on the face treated with many antibiotics like clindamycin, tetracycline, erythromycin and others. Now she complained of multiple hyperpigmented spots at the site of old acne lesions. Which of the following drug might have been responsible for this –
1. Erythromycin
2. Tetracycline
3. Minocycline
4. Demeclocycline

Correct answer: 3. Minocycline

Explanation: Minocyclin can cause blue black discoloration in healing acne lesions.